True about Cystic Hygroma is
1. MC in adults
2. Does not transilluminate
3. Lined by stratified squamous epithelium
4. Develops from jugular lymphatic sequestration

Correct answer: 4. Develops from jugular lymphatic sequestration

Explanation: Ans. (d) Develops from jugular lymphatic sequestrationRef: Bailey and Love 26thedition, Page 700* Most common swelling at birth* Brilliant transillumination+* Lined by Cuboidal columnar epithelium in single layer* Develops from Jugular lymphatic sequestration